Structures passing deep to posterior border of hyoglossus from above to downwards:
1. Glossopharyngeal nerve, stylohyoid ligament, lingual artery.
2. Stylohyoid ligament, glossopharyngeal nerve, lingual artery.
3. Stylohyoid ligament, lingual artery, glossopharyngeal nerve.
4. Lingual artery, stylohyoid ligament, glossopharyngeal nerve.

Correct answer: 1. Glossopharyngeal nerve, stylohyoid ligament, lingual artery.